Following antineoplastic drugs should not be administered to a chronic alcoholic patient due to risk of development disulfiram like reaction
1. Dacarbazine
2. Procarbazine
3. Melphalan
4. Hydroxyurea

Correct answer: 2. Procarbazine

Explanation: Ref-KDT 6/e p827 Procarbazine is a chemotherapy medication used for the treatment of Hodgkin's lymphoma and brain cancers. For Hodgkin's it is often used together with chlormethine, vincristine, and prednisone while for brain cancers such as glioblastoma multiforme it is used with lomustine and vincristine You should avoid the use of alcohol while being treated with procarbazine, as alcohol may increase some of the nervous system side effects such as dizziness, drowsiness, and difficulty concentrating.